Risk factor for angiosarcoma of liver
1. OCP
2. Phenacetin
3. Vinyl chloride
4. All of the above

Correct answer: 3. Vinyl chloride

Explanation: Angiosarcoma of the liver, a rare fatal tumor, has been seen in workers intensively exposed to the gas vinyl chloride monomer (VCM) for prolonged periods while working in polyvinyl chloride (PVC) polymerization plants. It has also been associated with individuals exposed to arsenic-containing insecticides and Thorotrast